Which of the following supplies lobule of ear pinna
1. Auriculotemporal nerve
2. Great auricular nerve
3. Lesser occipital nerve
4. Great petrosal nerve

Correct answer: 2. Great auricular nerve

Explanation: Nerves supplying pinna GREAT AURICULAR NERVE SUPPLIES MOST OF THE CRANIAL SURFACE AND POSTERIOR PA OF THE LATERAL SURFACE INCLUDING HELIX, ANTIHELIX AND LOBULE. LESSER OCCIPITAL NERVE UPPER PA OF THE CRANIAL SURFACE OF THE AURICLE AURICULOTEMPORAL NERVE TRAGUS, CRUS OF HELIX AND ADJOINING AREA OF HELIX AURICULAR BRANCH OF VAGUS(ARNOLD S NERVE) CONCHA AND EMINENTIA CONCHAE